What is the health indicator obtained by dividing body height (in centimetres) by cube root of body weight (in kilograms) -
1. Quetelet's Index
2. Broca Index
3. Ponderal Index
4. Corpulence index

Correct answer: 3. Ponderal Index

Explanation: 1. Ponderal index = height/ cube root of weight 2.Corpulence index = actual weight/ desirable weight 3.Brocca index = height (cm)- 100 4.Quetelet's index = weight in kg / height in metre square. Ref- Park's textbook of Preventive and Social Medicine 24th edition. .